Best indicator of acute malnutrition
1. Weight for height
2. Weight for age
3. Height for age
4. BMI < 2 SD

Correct answer: 1. Weight for height

Explanation: Ans. is 'a' i.e., Weight for height Severe acute malnutrition is defined by a very low weight for height (below -3z scores of the median WHO growth standards), by visible severe wasting, or by the presence of nutritional oedema.